All are true regarding duties of traditional birth attendant EXCEPT:
1. Aseptic delivery
2. Health education
3. Injection of tetanus toxoid
4. Registration of birth

Correct answer: 3. Injection of tetanus toxoid

Explanation: Ans. C i.e. Injection of tetanus toxoid Trained birth attendants It is being increasingly recognized that TBAs may have a role to play in improving health outcomes in developing countries because of their access to communities and the relationships they share with women in local communities, especially if women are unable to access skilled care. Some countries, training institutes and non-governmental agencies are initiating efforts to train TBAs in basic and emergency obstetric care, family planning, and other maternal health topics, in order to enhance the links between modern health care services and the community, and to improve the chances for better health outcomes among mothers and babies.